Atypical X-ray findings in Chest X-ray in tuberculosis is usually seen in which of the following?
1. HIV
2. MDR TB
3. Adults with TB
4. Culture positive TB

Correct answer: 1. HIV

Explanation: Immunosuppressed patients, including HIV infection, have "atypical" findings on chest radiography e.g., lower-zone infiltrates without cavity formation. Ref: Harrisons Principles of Internal Medicine, 18th Edition, Page 1350.